Which of the following is associated with FAP?
1. Peutz-Jegher's syndrome
2. Gardner's syndrome
3. Juvenile polyps
4. Hamartomatous polyp

Correct answer: 2. Gardner's syndrome

Explanation: GARDNER'S SYNDROME(AD) The combination of FAP with: Bony lesions (osteomas, cortical thickening of long bones and ribs) Benign lymphoid polyposis of ileum CHRPE Dental anomalies (impacted tooth, supernumerary tooth, dental cyst) Desmoid tumors and sebaceous cyst